In a rape indence occurred in child of 5yrs the hymen is
1. Ruptured because it is thin
2. Ruptured because it is situated superficially
3. Don't rupture because it is thick and elastic
4. Dont rupture because it is situated deeply

Correct answer: 4. Dont rupture because it is situated deeply

Explanation: ref : narayana reddy